The Electron Microscopy is virtually diagnostic in renal biopsy study of
1. Goodpasture's syndrome
2. Churg-Strauss syndrome
3. Alport syndrome
4. Wegner's granulomatosis

Correct answer: 3. Alport syndrome

Explanation: Fully developed Alport syndrome has characteristic electron microscopic findings. The GBM shows irregular foci of thickening alternating with attenuation (thinning) and pronounced splitting and lamination of the lamina densa, often producing a distinctive basket-weave appearanceRobbins 9e pg: 924